TB multidrug regimen is given to -
1. Prevent resistance
2. Broad spectrum
3. Prevent side effects
4. None

Correct answer: 1. Prevent resistance

Explanation: Advantages of short-course chemotherapy is Rapid biological conversion lower failure rates and Reduction in the frequency of emergence of drug-resistant bacilli. Ref:PARK'S TEXTBOOK OF PREVENTIVE AND SOCIAL MEDICINE 23rd edition , Page :188